Chlamydia is a:
1. Bacteria
2. Virus
3. Protozoa
4. Fungi

Correct answer: 1. Bacteria

Explanation: Ans: a (Bacteria) Ref: Ananthan7th ed, p. 422Chlamydiae are obligate intracellular bacterial parasites of humans, animals and birds.VirusChlamydia* Obligate intracellular parasites* Obligate intracellular parasite* Contain only one type of nucleic acid either DNA or RNA* Possess both DNA and RNA* Lack enzymes for protein/ nucleic acid synthesis. Depends on synthetic machinery of host for replication* Multiply by complex process(not by binary fission)* Unaffected by antibacterial antibiotics.* Have cell wall and ribosomes* Multiply by binary fission* Susceptible to usual antibioticsThe disease caused by various chlamydia are as follows:Chlamydia trachomatis:1. Serotype A, B. C2. Serotype D to K- Trachoma- Inclusion conjunctivitisGenital chlamydiasisInfant pneumonia3. Serotypes L1. L2. L3- Lymphogranuloma venerumChlamydia psittaci--causes psittacosisChlamydia pneumoniae--causes acute respiratory disease.Inclusion bodies in chlamydia:Halberstaedter Prowazek (HP bodies)Levinthal Cole Lillie (LCL bodies)Miyagawas granulo corpscles (elementary body)- C. trachomatis- C. psittaci- LGVHorders spots- a faint macular spot (like rose spots of typhoid fever) is seen in psittacosis.Mycoplasma:They are small free living bacteria (and not intracellular parasites). Obligate intracellular parasites do not grow in cell free medium but mycoplasma do.Organisms which do not grow on cell free media.Mycobacterium lepraeChlamydiaRickettsiaceaeCoxiella bumettiPathogenic treponemasViruses.